Type II glycogen storage disorder is due to deficiency of:
1. alpha-Glucosidase
2. alpha-galactosidase
3. Muscle phosphorylase
4. Acid Lipase

Correct answer: 1. alpha-Glucosidase